Computer controlled injection system is called:
1. CCD
2. WAND
3. CCI
4. JET

Correct answer: 2. WAND

Explanation: WAND:
It is computer controlled injection system Dosage is controlled by computer.